If amphotericin B is administered, the patient should be premedicated with :
1. Diphenhydramine
2. Ibuprofen
3. Prednisone
4. Any of the above

Correct answer: 4. Any of the above